All of the given drugs are positive inotropes EXCEPT
1. Dopamine
2. dobutamine
3. Digoxin
4. Doxepin

Correct answer: 4. Doxepin